Which of the following is a characteristic radiological finding in neonatal necrotizing enterocolitis –
1. Gas in the portal system
2. Gas in the intestinal wall
3. Pneumoperitonium
4. Air fluid levels

Correct answer: 2. Gas in the intestinal wall